A 30 years old patient presented with history of jaundice for 10 days. His liver function tests showed bilirubin of 10 mg/dl, SGOT/SGPT - 1100/1450, serum alkaline phosphatase-240 IU. He was positive for HbsAg. What should be the confirmatory test to establish acute hepatitis B infection?
1. IgM Anti-HBc antibody
2. HbeAg
3. HBV DNA by PCR
4. Anti-HBc antibody

Correct answer: 1. IgM Anti-HBc antibody

Explanation: Ans. (a) IgM anti-HBc antibody Types Serological markers of HBV Acute hepatitis B IgM anti-HBcAg +ve ; HBsAg +ve Chronic hepatitis B Ig G anti-HBcAg +ve ; HBsAg +ve Marker of vaccination Anti-HBsAg (+) ye Alone Marker of remote Infection IgG anti-HBc (Used for epidemiological purposes) Marker of infectivity HBeAg (If present indicate high infectivity) Test diagnostic of acute infection - IgM anti-HBc Test diagnostic of chronic infection - IgG anti-HBc + HBsAg Test for determining infectivity - HBeAg.